All of the following are conditions associated with Wilm's tumor, except
1. Aniridia
2. Gonadal dysgenesis
3. Hemihyperopy
4. Polycystic kidney

Correct answer: 4. Polycystic kidney

Explanation: WAGR syndrome, Beckwith Wiedemann syndrome and Denys-Drash syndrome are conditions associated with Wilm's tumor. Polycystic kidney disease is not associated with Wilm's tumor.